The pheonomenon of "sparing off the macula" is due to the collateral circulation between -
1. Middle and posterior cerebral arteries
2. Anterior and middle cerebral arteries
3. Anterior and posterior cerebral arteries
4. Anterior, middle and posterior cerebral artries

Correct answer: 1. Middle and posterior cerebral arteries